House keeping genes are
1. Inducible
2. Required only when inducer is present
3. Mutant
4. Not regulated

Correct answer: 4. Not regulated

Explanation: D i.e., Not regulated